The most appropriate drug used for chelation therapy in beta-thalassemia major is :
1. Oral Desferrioxamine
2. Oral deferiprone
3. Intramuscular EDTA
4. Oral succimer

Correct answer: 2. Oral deferiprone

Explanation: Drug of choice for acute iron poisoning is desferrioxamine, however it has to be administered parenterally. It is not effective by oral route.
In beta thalassemia major, iron excess can result due to repeated blood transfusions and massive hemolysis. Chelating agent has to be administered for long time in this case. Therefore, oral Deferiprone is preferred in this case.